Leukotriene receptor antagonist used for bronchial asthama is
1. Zafirlukast
2. Zileuton
3. Cromolyn Sodium
4. Aminophylline

Correct answer: 1. Zafirlukast

Explanation: Examples for leukotriene receptor antagonist are Montelukast and Zafirlukast ESSENTIALS OF MEDICAL PHARMACOLOGY 8TH EDITON Page No :222